Which of the following is false about glutathione
1. It decrease free radicals, reduces oxidative stress
2. Helps in conjugation reactions
3. Cofactor of enzymes
4. Converts hemoglobin to methemoglobin

Correct answer: 4. Converts hemoglobin to methemoglobin

Explanation: Glutatione suppress the formation of methemoglobin.
Rest others are functions of glutathione.
It is a important intracellular reducing substance.